All of the following are properties of local anesthetics EXCEPT:
1. Blockade of voltage dependent Na+ channels
2. Preferential binding to resting channels
3. Slowing of axonal impulse conduction
4. Increase in the membrane refractory period

Correct answer: 2. Preferential binding to resting channels

Explanation: - Local anesthetic receptor is located within the channel in its intracellular half. - LA traverses the membrane in unionized form. - LAs act from within the neuron and are more active when the neuron is rapidly firing (i.e., Na+ channels are open). so it doesnot act in resting form.